Plasma half-life of carbimazole is:
1. 4 hours
2. 8 hours
3. 16 hours
4. 24 hours

Correct answer: 2. 8 hours

Explanation: Half-life of carbimazole is around 8 hours whereas propylthiouracil has t1/2 of 2 hours.